Jefferson's fracture is -
1. C1
2. C2
3. C2 C1
4. C2C3

Correct answer: 1. C1